Late onset hemorrhagic disease of newborn is characterized by all of the following features except:
1. Usually occurs in cow milk fed babies
2. Onset occurs at 4-12 weeks of age
3. Intracranial hemorrhage can occur
4. Intramuscular vitamin K prophylaxis at birth has a protective role

Correct answer: 1. Usually occurs in cow milk fed babies

Explanation: a. Usually occurs in cow milk fed babies(Ref: Nelson's 20/e p 2384)"Hemorrhagic disease of newborn is more common in breast fed infants because breast milk is poor in vitamin K".